What enzyme is inhibited by etoposide ?
1. Topoisomerase I
2. Topoismerase II
3. Dihydrofolate reductase
4. Dihydro orotate oxidase

Correct answer: 2. Topoismerase II

Explanation: Ans. is 'b' i.e., Topoisomerase(Ref: KDT 7h/e p. 8661)EtoposideSemisynthetic derivative of podophyllotoxin, a plant glycoside'Not a mitotic inhibitor, but arrests cells in the G2 phase and causes DNA breaks by affecting DNA topoisomerase-2 function.